Which of the following are the sites of porto-systemic anastomosis?
1. Umbilicus
2. Lower end of oesophagus
3. Rectum and anal canal
4. All the above

Correct answer: 4. All the above

Explanation: Portosystemic anastomosis is also seen in the bare area of liver and posterior abdominal wall.